Septal perforation is NOT a complication of which of the following condition?
1. Septal abscess
2. Leprosy
3. Rhinophyma
4. Trauma

Correct answer: 3. Rhinophyma

Explanation: Local trauma is known to be the most common cause of septal perforation. Rhinophyma refers to thickened, erythematous or purple hued nasal skin. It is not known to cause septal perforation. Complications associated with its use are nasal obstruction, skin cancers and tumors. Other causes of septal perforation includes: Trauma: Digital Post surgical Septal cauterization Following septal abscess Necrosis from cocaine use Infectious or inflammatory causes of septal perforation: Syphilis Leprosy Tuberculosis Wegener's granulomatosis Lupus erythematosus